Keratomalacia ;s associated with:
1. Measles
2. Mumps
3. Rubella
4. Chicken pox

Correct answer: 1. Measles

Explanation: Ans. Measles